Which of the following is used to treat Alkaptonuria?
1. Vitamin A
2. Vitamin C
3. Vitamin D
4. Vitamin K

Correct answer: 2. Vitamin C

Explanation: In patients of Alkaptonuria, Vitamin C may decrease deposition of brown pigment in cartilage. Hence it is used.